Frequently occurring value in a series is known as
1. Average
2. Median
3. Mean
4. Mode

Correct answer: 4. Mode

Explanation: Ans. (d) ModeRef : K. Park 23rd ed. / 847-88THE MODE* The mode is the commonly occurring value in a distribution of data. It is the most frequent item or the most fashiionable" value in a series of observations. For example, the diastolic blood pressure of 20 individuals was:85, 75 79, 71, 95, 75, 75, 77, 75, 9071, 75, 79, 95, 75, 77, 84, 75, 81, 75* The mode or the most frequently occurring value is 75.